Causes of a painless limp in infancy includes:
1. Congenital dislocation of hip
2. Infantile coxa vara
3. Poliomyelitis
4. All of the above

Correct answer: 4. All of the above

Explanation: Painless Limp Painful Limp 1-3 years age group: DDH Cerebral palsy Muscular dystrophy Infantile coxa vara 4-10 years age: Limb length discrepancy Poliomyelitis Legg Calve Perthes disease Slipped capital femoral epiphysis Osteochondritis dissecans -Lateral surface of medial femoral condyle Arthritis/Synovitis/Osteomyelitis